Features of Giardiasis -a) Mal absorptionb) Cyst with 4 nucleic) Trophozoite with four nucleid) Common in hypogammaglobulinemia
1. abd
2. ad
3. bc
4. bcd

Correct answer: 1. abd